Normal Biophysical Profile (Manning Score) is
1. 10-Aug
2. 8-Jun
3. 6-Apr
4. 4-Mar

Correct answer: 1. 10-Aug

Explanation: Ans. a (8-10) (Ref. Dutta, Obstetrics, 6th ed., p 109, 464)BIOPHYSICAL PROFILE (MANNING SCORE)# The BPP measures- fetal heart rate,- muscle tone,- movement,- breathing, and the- amount of amniotic fluid around fetus.# A BPP is commonly done in the last trimester of pregnancy.# If patient has a high-risk pregnancy, a BPP may be done by 32 to 34 weeks or earlier.# Its 5 components are:Q- Non-stress test (NST)- Fetal breathing movements (at least 1 episode within 30 min lasting for > 30 seconds).- Fetal tone (> 1 episode of limb extension with return to flexion within 30 seconds).- Gross fetal movements (at least 3 discrete GFM within 30 minutes).- Amniotic fluid volume (> 1 large pocket more than 1 cm vertical diameter).# Score - In absence of oligohydramnios:- Normal score = 8-10,e- Equivocal = 6 and- Abnormal = < 4.Fetal heart rate in "sinusoidal pattern"Fetal heart rate in "saltatory pattern" is seen ina) Rh isoimmunizationb) Normal fetusc) Drugs-alphaprodinea) Acid-base imbalanceb) Labourc) Acute brief hypoxia in fetusd) Depressed fetus with low APGAR